A newborn baby has projectile vomiting shortly after each feeding. After investigations you have determined that there is obstruction of the digestive tract as a result of an annular pancreas. Annular pancreas is an abnormality in which of the following developmental processes?
1. Rotation of the dorsal pancreatic bud around the first part of the duodenum
2. Rotation of the dorsal pancreatic bud around the second part of the duodenum
3. Rotation of the dorsal pancreatic bud around the third part of the duodenum
4. Rotation of the ventral pancreatic bud around the second part of the duodenum

Correct answer: 4. Rotation of the ventral pancreatic bud around the second part of the duodenum

Explanation: The ventral pancreatic bud normally rotates around the duodenum to fuse with the dorsal pancreatic bud. Both pancreatic buds form from evaginations from the second part of the duodenum, hence the rotation is around the second part of the duodenum. The normal rotation is around the right side of the embryonic duodenum. Annular pancreas results from the ventral pancreatic bud dividing and rotating around both the right and left sides of the second part of the duodenum, thus encircling it. The dorsal pancreatic bud does not rotate around the duodenum and therefore is not the cause of annular pancreas. The ventral pancreatic bud does not form from the first part of the duodenum and therefore does not rotate around this part of the duodenum.